Flooding is a treatment modality used in ?
1. Phobia
2. Depression
3. Mania
4. Schizophrenia

Correct answer: 1. Phobia

Explanation: Ans. is 'a' i.e., Phobia